. Hirschprung's disease is treated by
1. Colostomy
2. Excision of aganglionic segment
3. Colectomy
4. Sodium chloride wash

Correct answer: 2. Excision of aganglionic segment